A traumatic wound was cleaned and dressed. A few days later suturing was done to approximate the edges. This type of wound healing is
1. Primary intention
2. Secondary intention
3. Delayed secondary intention
4. Tertiary intention

Correct answer: 4. Tertiary intention

Explanation: Primary intention healing happens when wound edges are approximated by sutures, staples..etc The delayed primary intention is when this approximation is delayed, as it might be necessary for contaminated or untidy wounds. Also called tertiary intention.Secondary intention occurs in wounds that are left open and allowed to heal by granulation, contraction and epithelialisationBailey and love 27e pg:26